Gene amplification is by
1. Polymerase Chain Reaction
2. Ligase chain reaction
3. DNA hybridization
4. In situ hybridization

Correct answer: 1. Polymerase Chain Reaction

Explanation: PCR is an in-vitro DNA amplification procedure in which millions of copies of particular sequence of DNA can be produced within a few hoursRef: DM Vasudevan, 7th edition, page no: 638